Not seen in the peripheral smear in plasmodium falciparum infection -a) Accoleb) Maurer's dotc) Shuffners dotsd) Schizonts
1. cd
2. bc
3. bd
4. ac

Correct answer: 1. cd